Haemophilus influenzae has been isolated from the CSF of two year old boy suffering from meningitis. The strain is beta–lactamase producing and resistant to chloramphenicol. The most appropriate antimicrobial in such a situation is –
1. Trimethoprim–sulfamethoxazole combination
2. Ciprofloxacin
3. Third–generation cephalosporin
4. Vancomycin

Correct answer: 3. Third–generation cephalosporin

Explanation: ANTIMICR BIALT RAPY. IF CNS ACTERIAL INFECTI NS BASED N PATHOGENa